Banding technique used for studying translocations involving centromere is
1. Q banding
2. G banding
3. R banding
4. C banding

Correct answer: 4. C banding

Explanation: M/c used for cytogenetic analysis - G banding.
For studying translocations involving centromere - C banding.